In psoritic arthropathy TOC is
1. Mtx
2. 5FU
3. PUVA
4. Steroid

Correct answer: 1. Mtx

Explanation: A i.e. Mtx